Following statements are true/false about drugs affecting renin angiotensin aldosterone system?1. Aliskiren acts by inhibiting the secretion of renin2. Enalapril can cause cough and angioedema3. Losartan inhibits the formation of angiotensin II4. Epleronone causes gynaecomastia as an adverse effect5. Sampatrilat has additional inhibitory activity on neprilysin apart from inhibitory effect on ACE.
1. True: 3, 4; False: 1, 2, 5
2. True: 1, 2; False: 3, 4, 5
3. True: 2, 5; False: 1, 3, 4
4. True: 4, 5; False: 1, 3, 5

Correct answer: 3. True: 2, 5; False: 1, 3, 4

Explanation: Ans. CExplanation:* Aliskiren is a renin inhibitor. It does not inhibit secretion of renin. Rather it inhibits the action of renin after it is secreted. Beta blockers act by inhibiting the secretion of renin.* ACE inhibitors like enalapril prevent the degradation of bradykinin. Excessive bradykinin can result in cough and angioedema as adverse effects.* Losartan is an angiotensin receptor antagonist. It does not inhibit the formation of angiotensin II.* Epleronone is a new aldosterone antagonist like spironolactone, however unlike spironolactone, it does not cause gynaecomastia.* Sampatrilat and omapatrilat are vasopeptidase inhibitors. These can inhibit two enzymes; ACE and neprilysin.